Atrial myxoma is associated with elevated serum levels of:
1. IL 1
2. IL 4
3. IL 6
4. None of the above

Correct answer: 3. IL 6

Explanation: Left atrial (LA) myxoma may obstruct LA emptying, causing dyspnea, a diastolic murmur, and hemodynamic changes resembling those of MS. However, patients with an LA myxoma often have features suggestive of a systemic disease, such as weight loss, fever, anemia, systemic emboli, and elevated serum IgG and interleukin 6 (IL-6) concentrations Ref: Harrison's principle of internal medicine 17th edition, chapter 230.